Hair infection with scutula formation is seen in case of?
1. Tenia capitis
2. Jock itch
3. Tenia glabrosa
4. Tenia barbae

Correct answer: 1. Tenia capitis

Explanation: Ans. is 'a' i.e., Tenia capitis Clinical features of tinea capitis Based on clinical picture, tinea capitis is divided into :? Non-inflammatory tinea capitis :- It is caused by Anthropophilic organism (e.g., T.tonsurans), so less inflammation. It may be :? Scaly type --> Partially bald area with peripheral scales. Hair present in bald area are lusturless and easily pluckable. Blackdot type ---> Hair are broken at the level of skin surface giving black dot appearance. Trichophyton tonsurans is the chief cause of Black-dot Tenia capitis. Inflammatory tinea capitis :- It is caused by Zoophilic organism (e.g., M.canis), which elicit intense inflammation.It presents as boggy swelling pustulation-known as kerion. Pus discharges from multiple sinuses. Hair from the swelling are easily and painlessly pluckable. Lymphadenopathy (occiptal) may occur. Favus :- It is caused by T.schoenleinii. It is characterized by presence of foul-swelling yellowish cup-shaped crust (Scutula) entangling many scalp hair.